The following antibiotic accentuates the neuromuscular blockade produced by pancuronium :
1. Streptomycin
2. Erythromycin
3. Penicillin G
4. Chloramphenicol

Correct answer: 1. Streptomycin